Antimicrobial resistance in frequent lens user is due to -
1. Biofilm formation
2. Improper handling
3. Unhygienic use of lens
4. Low potency of antibiotics

Correct answer: 1. Biofilm formation

Explanation: Ans. is 'a' i.e., Biofilm formation o The contaminated contact lens provides Psuedomonas aeruginosa an ideal site for attachment and biofilm productiono Continuous contact of the eye to the biofilm- infested lens can lead to serious ocular diseases, such as keratitis (corneal ulcers).o The biofilm also prevent effective penetration of the antibiotics, which increase the chances of antibiotic resistance.